Which type of anaemia is seen in vitamin B12 deficiency?
1. Microcytic anemia
2. Normocytic anemia
3. Dimorphicanemia
4. Macrocytic anemia

Correct answer: 4. Macrocytic anemia

Explanation: Macrocytic anemia- In Macrocytic anemiaRBC's are larger in size than their normal size Causes: - Vitamin B12deficiency Folic acid deficiency Alcoholism OTHER OPTIONS: OPTION A Microcytic anemia: Majority of microcytic anemia are result of insufficiency in haemoglobin synthesis or failure in haemoglobin synthesis or both. For e.g. iron deficiency. OPTION B: Normocytic anemia:Causes of normocytic anemia include acute blood loss, aplastic anemia (bone marrow failure), haemolytic anemia (abnormal breakdown of RBC's). OPTION C: Dimorphicanemia: In Dimorphic Anemia, two distinct forms of red cell populations exist. It can occur when iron deficiency anemia responds to iron therapy, after the transfusion of normal blood to a patient with Hypochromic Anemia and in Sideroblastic Anemia.